All of the following statements are true for metaphysis of bone, EXCEPT:
1. It has greatest growth activity
2. It is the strongest part of bone
3. It is the most vascular part of bone
4. It is the region favouring hematogenous spread of infection

Correct answer: 2. It is the strongest part of bone

Explanation: Metaphysis is the part of the diaphysis, towards the epiphysis, from where the ossification spreads rapidly. In this area, the vessels form hair-pin-bends, so the circulation becomes sluggish. This stasis of blood resulting from the hair-pin-bend arrangement is responsible for bacteria to settle and thus the common site for osteomyelitis. It is the area of active bone formation and is therefore richly supplied by the blood.